A dead body is found to have marks like branching of a tree on front of the chest. Most likely cause of death could be:
1. Firearm injury
2. Lightning injury
3. Bomb blast injury
4. Road traffic accident

Correct answer: 2. Lightning injury

Explanation: Ans. Lightning injury